Which of the following vitamins is not involved in TCA cycle?
1. Riboflavin
2. Thiamine
3. Niacin
4. Pyridoxine

Correct answer: 4. Pyridoxine

Explanation: Vitamins in TCA cycle are :

Thiamine (B1)
Riboflavin (B2)
Niacian (B3)
Pantothenic acid (B5)